Caustic poison erodes mucosa because
1. Glue like action
2. Hygroscopic in nature
3. High affinity for mucosa
4. Being programmed to stick

Correct answer: 2. Hygroscopic in nature

Explanation: B i.e. Hygroscopic in nature Caustic alkalis are the commonest cause of chemical burns. The hydroxyl ion produces a saponification of fat, soluble alkaline proteinases, cellular dehydration hygroscopic excrating water from tissues)Q, exothermic reaction, coagulation of cellular proteins and conversion of hemoglobin into haematin. Mainly in the local tissues of alimentary tract (or rarely respiratory) mucosa.